Which of the following is best used in the diagosis of congenital syphilis -
1. FTA-ABS
2. TPHA
3. IgM-FTA ABS
4. TPI

Correct answer: 3. IgM-FTA ABS

Explanation: Ans. is 'c' i.e., IgM-FTA ABS